Rabies vaccine is prepared from:-
1. Street viral strain
2. Fixed viral strain
3. Wild viral strain
4. Any of the above

Correct answer: 2. Fixed viral strain

Explanation: Fixed Viral Strain is non pathogenic & does not have negri bodies , so its safer for production for Rebies vaccine. Vaccines and their strains: BCG - Danish / 331 Measles - Edmonston Zagreb Mumps - Jeryll Lynn strain Rubella - RA 27/3 YF - 17D JE Live - SA 14 -14 -2 C. Pox - Oka HIV - mVA ( Ankara) H1 N1 - California Mosquirix vaccine - S, S.